finger nail hypoplasia is a complication of
1. carbamezipine
2. olanzapine
3. lithium
4. risperidone

Correct answer: 1. carbamezipine

Explanation: - SIDE EFFECTS OF THE DRUG - APLASTIC ANEMIA - AGRANULOCYTOSIS - Hyponatremia - Steven Johnson's syndrome - Liver enzyme elevation - It has teratogenic potential - CLEFT PALATE, FINGER NAIL HYPOLASIA, - SPINA BIFIDA Ref.kaplon and sadock, synopsis of psychiatry, 11 th edition, pg no. 935